First retinal abnormality in diabetic retinopathy –
1. Microaneurysm
2. Hard exudates
3. Soft exudates
4. Cotton wool spots

Correct answer: 1. Microaneurysm

Explanation: The earliest detectable lesion in diabetic retinopathy is microaneurysm.